A wave in ERG is due to the activity of
1. Pigmented epithelium
2. Rods and cones
3. Ganglion cell
4. Bipolar cell

Correct answer: 2. Rods and cones

Explanation: Normal record of ERG consists of the following waves : a-wave. It is a negative wave possibly arising from the rods and cones. b-wave. It is a large positive wave which is generated by Muller cells but represents the activity of the bipolar cells. c-wave. It is also a positive wave representing the metabolic activity of pigment epithelium. Both scotopic and photopic responses can be elicited in ERG. Foveal ERG can provide information about the macula. REFERENCE : AK KHURANA COMPREHENSIVE OPHTHALMOLOGY, Edition4,Page-489